Which is the most common urethral anomaly?
1. Epispadias
2. Hypospadias
3. Urethral stenosis
4. Bladder Exstrophy

Correct answer: 2. Hypospadias

Explanation: Ans. is 'b' i.e., Hypospadias o Hypospadias is the most common congenital malformation of the urethra.o In Epispadias - the urethra opens on the dorsum of penis. It's a rare congenital anamoly that is commonly associated with Bladder Exstrophy.Types of Hypospadiasa. Glanular - opening is on the glans penis, proximal to the tipb. Coronal - opening on the coronal sulcusc. Subcoronald. Penilee. Penoscrotalf. Scrotalg. Perinealo Cambell's Urology defines hypospadias as an association of 3 anatomic and developmental anomalies of penis.1. An abnormal ventral opening of the urethral meatus2. An abnormal Ventral curvature of the penis (chordee)3. A abnormal distribution of foreskin with a 'hood' present dorsally and deficient foreskin ventrally (hooded prepuce)